Apple–jelly nodules are seen in –
1. Lupus vulgaris
2. DLE
3. Lichen planus
4. Psoriasis

Correct answer: 1. Lupus vulgaris

Explanation: "Apple jelly nodules" : - Characterized by yellow-brown nodules with tiny darker granules. On probing, the nodules are soft jelly-like seen in cutaneous TB infection Lupus vulgaris.